Choose the most appropriate statement about Epigenetics
1. Irreversible modification of DNA
2. Change in genotype without change in phenotype
3. Change in nucleotide sequence
4. Heritable changes in gene expression

Correct answer: 4. Heritable changes in gene expression

Explanation: Epigenetics refers to reversible but heritable changes in gene expression without change in nucleotide sequence.
It results in change in phenotype without changes in genotype.
Refer the byte "Epigenetics"